Measles is said to be infectious
1. 4 days before appearance of rash
2. After 4 days of rash
3. 4 days before and 5 days after rash appearance
4. Only during the incubation period

Correct answer: 3. 4 days before and 5 days after rash appearance

Explanation: Measles transmission Measles case is infective 4 days before to 5 days after appearance of rash More commonly seen in winters and early spring in India Incubation period : 10-14 days Only one type of vaccine (Live attenuated) Ref: Park 25th edition Pgno : 159-162